The inability to perceive the texture & shape an object occurs in lesion of.
1. Lateral spino-thalamic tract
2. Nucleus gracils
3. Spino reticular tract
4. Nucleus cuneatus

Correct answer: 4. Nucleus cuneatus

Explanation: D. i.e. Nucleus cuneatus The middle part of cuneate nucleus, the pars rotunds which receives impulses from digits, palm, dorsum of hand & forearm is specific for stereognosis.- Stereognosis is determination of texture & size of an object, is a function of cerebral coexThe sensory information of stereognosis to brain is carried by posterior column which includes tractus gracilis & tractus cuneatus Tractus gracilis bring sensation from lumber & sucral segments to nucleus gracilis (less specific for steriognosis)- Tractus cuneatus bring sensation from cervical & thoracic segments to nucleus cuneatus.Mnemonic - "Gracilis for lower segments & Cuneatus for upper segments - G comes after C